Phagocytosis enhanced by coating the surface of antigen is called -
1. Opsonisation
2. Chemotaxis
3. Decoding
4. CFT

Correct answer: 1. Opsonisation

Explanation: The opsonin is the heat liable substance present in fresh normal sera, which facilitated phagocytosis. This process is called opsonization Reference:nathanarayan & paniker's 9th edition, pg no: 112